Wimburger sign is seen in ?
1. Scurvy
2. Rickets
3. Osteoporosis
4. Osteomalacia

Correct answer: 1. Scurvy

Explanation: Ans. is 'a' i.e., Scurvy Radiological features of scurvy The typical radiological features occur at the ends of long bones, particularly around knee, i.e. lower end of femur and upper end of tibia. Other common site is proximal end of humerus. Features are - Ground glass appearace of bone Pencil thin cortex White line offraenkel --> represents well calcified cartilage in metaphysis. Wimburger sign --> white ring surrounding the epiphyseal centres of ossification. Winburger sign is also called ring sign as there is white ring surrounding the epiphyseal centers of ossification. Zone of rarefaction under the white line --> represents a linear break in the bone, proximal and parallel to white line and epiphyseal separation may occur along this line. Lateral part of this rarefaction is seen as a triangular defect. Palkan spur or lateral spur --> lateral prolongation of white line. During healing phase, subperiosteal hemorrhages become calcified and the affected bone assumes a dumbbell or club shape.